Warfarin act by
1. Inhibiting the activation of vitamin K dependent factors
2. Inhibiting thrombin indirectly through antithrombin III
3. Directly inhibiting thrombin
4. Inhibiting Gp IIb/IIIa

Correct answer: 1. Inhibiting the activation of vitamin K dependent factors